Which of the following is NOT a primary requirement for conducting screening for disease control?
1. Prevalence of the disease should be high in the population under study
2. Should be a favourable prognosis for early treatment of the disease
3. The government should fund the program
4. The disease should be serious

Correct answer: 3. The government should fund the program